Glycolytic enzymes(s) inhibited by Fluoride:
1. Hexokinase
2. Aldolase
3. Enolase
4. Pyruvate kinase

Correct answer: 3. Enolase

Explanation: Inhibitors of Glycolysis: Inhibitors of Glycolysis Enzyme Inhibited Iodoacetate Glyceraldehyde - 3 - P Dehydrogenase Arsenate Glyceraldehye - 3 - P Dehydrogenase Sodium fluoride Enolase Oxamate Lactate Dehydrogenase